Concentric hypertrophy of left ventricle is seen in -
1. Mitral stenosis
2. Hypertension
3. Aortic regurgitation
4. None

Correct answer: 2. Hypertension

Explanation: Ans. is 'b' i.e., Hypertensiono Concentric hypertrophy In pressure overload, e.g. hypertension and aortic stenosis. o Eccentric hypertrophy ---> In volume overload, e.g. in aortic regurgitation.